Serotonin is derived from
1. Tyrosine
2. Tryptophan
3. Phenylalanine
4. Methionine

Correct answer: 2. Tryptophan

Explanation: Serotonin is a metabolite of tryptophan Tryptophan ------------------->5hydroxy tryptophan ------------------>5hyroxy tryptamine (serotonin )Ref: DM Vasudevan - Textbook of Biochemistry, 7th edition, page no: 241